All are predisposing factors of Deep Vein thrombosis, EXCEPT :
1. Cushing's syndrome
2. Hip surgery
3. Lower limb trauma
4. Subungual melanoma

Correct answer: 4. Subungual melanoma

Explanation: Ans is 'd' Subungual melanoma